Which of the following cytokines are not secreted by Th2 type of helper T-cells?
1. IL-1
2. IL-4
3. IL-5
4. IL-13

Correct answer: 1. IL-1

Explanation: Th2 type of helper T-cells Secrete IL-4, IL-5, IL-13 IL-4 stimulate Th2 cells Th2 cells in turn cause stimulation of IgE production, activation of mast cells and eosinophils Mainly involved in allergies and defense against helminthic infestations